Autosomal dominant is ?
1. G6PD deficiency
2. Hirshsprung disease
3. Neurofibromatosis
4. Vitamin D resistant rickets

Correct answer: 3. Neurofibromatosis

Explanation: Ans. is 'c' i.e., Neurofibromatosis